Osteoporosis is caused by all, except:
1. Corticosteroid
2. Oestradiol
3. Methotrexate
4. Chronic heparin therapy

Correct answer: 2. Oestradiol

Explanation: Ans. is 'b' OestradiolOestradiol is used to prevent osteoporosis.Other causes of osteoporosis have been discussed before.